You have noticed ape like thumb in a 30 years young man from bihar who is a known patient of leprosy? Which of the following test is not done to show the nerve involved in this condition?
1. Card test
2. Pen test
3. Benediction sign (pointing index deformity)
4. Oschner clasp sign

Correct answer: 1. Card test

Explanation: Common in leprosy-The involvement of the: median nerve at the wrist ulnar nerve at the elbow common peroneal nerve at the fibular head Here median nerve (C5-T1) is involved all other tests done for median nerve palsy Card test is done for ulnar nerve A high/proximal lesion of the median nerve manifests in the hand of benediction